Number of line angles in class 4 cavity:
1. 8
2. 6
3. 11
4. 14

Correct answer: 3. 11